Low birth weight (LBW) is defined as a birth weight of less than ___ as per the World Health Organization (WHO)
1. 1.0 kg
2. 2.5 kg
3. 2.0 kg
4. 1.5 kg

Correct answer: 2. 2.5 kg

Explanation: Ans. B 2.5 kg (Ref. The incidence of low birthweight, defined as the proportion of newborns weighing less than 2,500 grams, is monitored through both health system surveillance and household surveys. In 2013, nearly 22 million newborns--an estimated 16 per cent of all babies born globally that year--had low birthweight. Accurate monitoring is challenging, however, since nearly half of the world's infants are not weighed at birth.